Which of the following is true about a Posthumous child
1. Born after death of father
2. Dead born child
3. Fictitious child
4. Illegitimate child

Correct answer: 1. Born after death of father

Explanation: Posthumous Child : It is a child born after the death of its father, the mother being conceived by the said father. Ref:- k.s.narayan reddy;pg num:- 396